Which end product of the citric acid cycle is used in detoxification of ammonia in the brain
1. Oxaloacetate
2. α-ketoglutarate
3. Succinate
4. Citrate

Correct answer: 2. α-ketoglutarate

Explanation: First read the reaction by which ammonia is detoxified in the brain.